Which of the following is not true about Mebendazole
1. Safe in pregnancy
2. Broad spectrum antihelminthic
3. Relatively low systemic bioavailability
4. Active against both larva and adult worm

Correct answer: 1. Safe in pregnancy

Explanation: Ans. is 'a' i.e., Safe in pregnancy Mebendazole - It has broad spectrum antihelminthic activity. It is effective against both egg and adults in the following helminths.Round worm (Ascaris)Hookworm (Ancylostoma)Thread worm (Enterobius)Whip worm (Trichuris)Action on other parasites - Strongyloides - less effective against it.Tapeworm -75% cure rate has been achieved H. Nana - relatively insensitiveTrichinella spiralis - expels the worm out of intestine but not effective against larva.Absorption of mebendazole from intestine is minimal (75-90% of the dose is passed in faeces)Safety of mebendazole during pregnancy is not known, but is contraindicated on the basis of animal data.Also knowSite of action of Mebendazole is microtubular protein (b tubulin).